All the following blood group systems cause fetal hemolytic disease Except
1. Kell
2. Duffy
3. Kidd
4. lewis

Correct answer: 4. lewis

Explanation: Other blood group systems different from the Rh having antigens with potential to cause hemolytic disease are K , Fya and Jka . Lewis group do not cause fetal hemolytic disease and differ from all the other red cell antigens in that, they are not synthesized in the red cell membrane but are absorbed into it. They are frequently found in routine antenatal testing.Reference: Practical guide to High-risk pregnancy and delivery; Chapter 14; Rh Alloimmunization